Which does not cause Tinea capitis –
1. Epidermophyton
2. Microsporum
3. Trichophyton rubrum
4. Trichophyton violaceum

Correct answer: 1. Epidermophyton

Explanation: As epidermophyton does not infect hair, it does not cause T. capitis.